Choose the most effective mechanical device for cleaning concave interdental surfaces of teeth? (OR) Method for plaque control on concavities of root?
1. Conventional tooth brushes
2. Powered tooth brushes
3. Triangular tooth picks
4. Interdental brushes

Correct answer: 4. Interdental brushes